Histopathologically reversal lines are seen in
1. Cherubism
2. Fibrous dysplasia
3. Paget's disease of the bone
4. Craniofacial dyspLasia

Correct answer: 3. Paget's disease of the bone